Sardonic grin is associated with -
1. Rabies
2. Tetanus
3. Bell's palsy
4. Hemiplegia

Correct answer: 2. Tetanus